Which of the following has the worst prognosis –
1. Rolandic epilepsy
2. Versive epilepsy
3. Absence epilepsy
4. Infantile spasm

Correct answer: 4. Infantile spasm

Explanation: Prognosis for normal mental development is poor.